In klippel - Fell syndrome, the patient has all of the following clinical features except -
1. Low hair line
2. Bilateral Neck webbing
3. Bilateral shortness of steronomastoid muscles
4. Gross limitations of neck movements

Correct answer: 3. Bilateral shortness of steronomastoid muscles

Explanation: Bilateral shortness of sternomastoid has not been mentioned as a feature of Klippel-Feil syndrome.